All of the following about loop diuretics are true about except:
1. Ethacrynic acid is the most ototoxic loop diuretic
2. They release prostaglandins and lead  to vasodilation
3. Loop diuretics lead to hypokalemia and metabolic alkalosis
4. Furosemide is the most potent loop diuretic

Correct answer: 4. Furosemide is the most potent loop diuretic

Explanation: Bumetanide is the most potent loop diuretic.